Cytochrome oxidase contains-
1. Copper
2. Iodine
3. Magnanes
4. Molybdenum

Correct answer: 1. Copper

Explanation: Ans. is 'a' i.e., Copper o All cytochromes are haem protein, i.e. they contain iron.o Cytochrome oxidase (cytochrome C oxidase or cytochrome aa3) also contain coppor, beside haem iron.o Vitamin B12. is a corrinoid, i.e. cobalt-containing compound possesing the corrin ring.Microminerals or trace elementsChromiumPotentiate the effect of insulinQImpaired glucose metabolismCobaltConstituent of vitamin B12QMacrocytic anemiaCopperConstituent of oxidase enzymes, e.g., tyrosinase, lysyl oxidaseQ, superoxide dismutase, cytochrome oxidase, ferroxidse and ceruloplasmin, involved in iron absorption and mobilization'Microcytic hvporchromic anemia, depigmentation of skin, hair. Excessive deposition in liver in Wilson's diseaseQ, Menkes disease (''Kinky" or "steely" hair disease) due to copper- binding P-type ATPase gene mutationQFluorideConstituent of bone and teeth, strengthens bone and teethDental cariesIodineConstituent of thyroid hormones (T3 and T4)Cretinism in children and goiter in adultsIronConstituent of heme and non-heme compounds and transport, storage of 02, cytochrome oxidase, xanthine oxidase, catalase, peroxidaseMicrocytic anemiaManganeseCofactor for number of enzymes, e.g., arginase, carboxylase, kinase, enolase, glucosyl transferase, phosphoglucomutaseNot well definedMolybdenumConstituent of xanthine oxidase, sulfite oxidase and aldehyde oxidaseXanthinuriaSeleniumAntioxidant, cofactor for glutathione peroxidase, protects cell against membrane lipid peroxidationCardiomyopathyZincCofactor for enzymes in DNA, RNA and protein synthesis, constituent of insulinQ, carbonic anhydraseQ. carboxvpeptidaseQ, LDHQ alcohol dehydrogenaseQ, alkaline phosphataseQ, glutamate dehydrogenase. Porphobilinogen synthase, superoxide dismutaseQ.Growth failure, impaired wound healing, defects in taste and smell, loss of apetite